Which of the following is not a pyrimidine?
1. Ubracil
2. Thymine
3. Adenine
4. Cytosine

Correct answer: 3. Adenine

Explanation: Adenine is a purine and not a pyrimidine Ref-Sathyanarayana 4/e